Use of combined pill is contraindicated in women with any of the following conditions except -
1. Lactation
2. Diabetes
3. Thromboembolism
4. Tuberculosis

Correct answer: 4. Tuberculosis

Explanation: Contraindications for use of combined Oral contraceptive pills (OCP'S) Absolute contraindications Relative contraindications Breast cancer Genital cancer Liver cancer History of thromboembolism Cardiac abnormalities Congenital abnormalities Congenital hyperlipidemia Undiagnosed abnormal uterine bleeding Pregnancy Age >40 years Smoking and age >35 years Mild hypertension Chronic renal disease Epilepsy Migraine Nursing mothers (0-6 months) Diabetes mellitus Gallbladder disease History of infrequent bleeding Amenorrhoea Ref: Park 25th edition Pgno : 536